30-year-male with chronic diarrhoea, anemia, raised liver enzymes. Most likely associated with -
1. Antimitochondrial antibody
2. Anti-endomysial antibody
3. Anti-smooth muscle antibody
4. Antinuclear antibody

Correct answer: 2. Anti-endomysial antibody